Most common age group affected in thoracic outlet obstruction syndrome?
1. 10-25 years
2. 25-45 years
3. 45-65 years
4. > 65 years

Correct answer: 2. 25-45 years

Explanation: Answer- B. 25-45 yearsIt constitutes compression of subclavian vessels and/or brachial plexus between scalene muscles and first rib.Important causes are cemical rib and fibrous band from C, spinous process to first rib.Most common age group involved is 25-50 years females are more affected.